Pulseless disease is -
1. Giant cell arteritis
2. Takayasu arteritis
3. Kawasaki disease
4. Polyarteritis nodosa

Correct answer: 2. Takayasu arteritis

Explanation: Ans. is 'b' i.e., Takayasu arteritisTakayasu arteritis o Takayasu arteritis is gran u lomatous vasculitis of large and medium arteries.o It is characterized principally by ocular disturbance and marked weakening of pulses in the upper extremities --> Pulseless disease.o It is also characterized by a strong predilection for aortic arch and its branches --> Aortic arch syndrome. o It is more common in Adolescent girls and young women.o Morphological changes in vessel wall are same as in giant cell arteritis.Clinical presentationSymptoms are mainly according to the involved vessel -Subclavian artery :o Most commonly involved vesselo Symptoms are - Arm claudication, lower BP and weaker pulse in upper limb then in lower limb, Raynaud's phemomenon. Common carotid -+ Visual disturbances, stroke, TIA, syncope. Abdominal aorta or coeliac artery or superior mesentric artery --> Abdominal pain, nausea, vomiting Renal --> Hypertension, Renal failure Aortic root --> Aortic regurgitation, CHF Vertebral Visual disturbances Iliac - Leg claudication Pulmonary --> Pulmonary hypertension, dysnea, chest pain. Coronary Angina, MI Constitutional symptoms --> As with other vasculitis malaise, fatigue, anarexia and weight loss are common. Elevated ESR and Anemia (as with other vasculitis)